Tricyclic anti-depressants produce side-effects like dry mouth, urinary retention due to action on:
1. Muscarinic receptors
2. Nicotinic receptors
3. Adrenergic receptors
4. Serotonergic receptors

Correct answer: 1. Muscarinic receptors

Explanation: Ans. a. Muscarinic receptors (Ref: KDT 7/e p459, 6/e p442)Tricyclic anti-depressants produce side-effects like dry mouth, urinary retention due to action on Muscarinic receptors.'Tricyclic antidepressants have anticholinergic side-effects, acts on muscarininc receptors, manifested as dry mouth, bad taste, constipation, epigastric distress, urinary retention (specially in males with enlarged prostate), blurred vision, palpitation.Side Effects of Tricyclic anti-depressants1. Anticholinergic:- Acts on muscarininc receptors, manifested as dry mouth, bad taste, constipation, epigastric distress, urinary retention (specially in males with enlarged prostate), blurred vision, palpitation.2. Sedation, mental confusion and weakness especially with amytryptiline and more sedative congeners.3. Increased appetite and weight gain is noted with most TCAs and trazadone. but not with SSRIs and bupropion.4. Some patients receiving any antidepressants may abruptly switch over to a dysphoric-agitated state or to mania.5. Sweating and fine tremors are relatively common.6. Seizure threshold is lowered-fits maybe precipitated, especially in children.7. Postural hypotension, especially in older patients8. Cardiac arrhythmias, especially in patients with ischemic heart disease- maybe responsible for sudden death in these patients.9. Rashes and jaundice due to hypersensitivity are rare.